"Kussmaul's sign" is
1. Increase in the JVP during inspiration
2. Decrease in the JVP during inspiration
3. Change in the blood pressure during exercise
4. Epigastric pulsation during running

Correct answer: 1. Increase in the JVP during inspiration

Explanation: (Increase in the JVP during inspiration) (1306-H) (1384-H17lh)Kussmaul's sign - an increase rather than the normal decrease in the JVP during inspiration-is most often caused by severe right-sided heart failure, it is a frequent finding in patients with constrictive pericarditis or right ventricular infarction**